Which is not an AR disorder –
1. Gyrate atrophy
2. Goldmann syndrome
3. Bardet - Biedi syndrome
4. Butterfly macular dystrophy

Correct answer: 4. Butterfly macular dystrophy

Explanation: Butterfly macular dystrophy is autosomal dominant inherited. Other three options are autosomal recessive inherited.